Gluteus medius is supplied by?
1. Superior Gluteal Nerve
2. Inferior Gluteal Nerve
3. Nerve to Obturator Internus
4. Nerve to Quadratus Femoris

Correct answer: 1. Superior Gluteal Nerve

Explanation: Superior Gluteal Nerve supplies the 3 abductors of the hip joint namely the gluteus medius, gluteus minimus and tensor fascia latae.